A common cause of Primary hyperparathyroidism is
1. Multiple parathyroid adenomas
2. Solitary parathyroid adenoma
3. Adrenal hyperplasia
4. Ectopic PTH production

Correct answer: 2. Solitary parathyroid adenoma